Which of the following is the be st indicator of long term nutritional status -
1. Mid arm circumference
2. Height for age
3. Weight for age
4. Weight for height

Correct answer: 2. Height for age

Explanation: Height indicate events in the past. So it is the best measure for nutritional status. REF. PARK'S TEXTBOOK OF PREVENTIVE AND SOCIAL MEDICAL 21ST EDITION. PAGE NO - 501